Which is an Abnormal finding in a neonate ?
1. Glycosuria
2. Bacteriuria
3. WBCs in urine
4. Hyperbilirubinemia

Correct answer: 2. Bacteriuria

Explanation: Bacteriuria is the abnormal finding in neonates. Glycosuria, hyperbilirubinemia and wbc in urine can be seen as a physiologic and pathological finding and can be spontaneously resolved Reference: GHAI Essential pediatrics, 8th edition